A patient undergone emergency laparotomy and Ileostomy closure done after 3 months then he developed swelling in the ileostomy region with Cough impulse. This is known as
1. Lumbar hernia
2. Incisional hernia
3. Spigelian hernia
4. Parastomal hernia

Correct answer: 2. Incisional hernia

Explanation: Ans. (b) Incisional herniaRef: Practical Question* Question is very clear - Ileostomy is reversed in 3 months - so this cannot be a parastomal hernia.* Parastomal hernia is one which develops via a defect in the opening made for Ileostomy or Colostomy, and the hernia is present in the presence of stoma.* Now here it is clear the stoma is reversed and hence this is a Incisional hernia via the incision made for creating stoma